Which is the water shed area of inferior mesenteric artery and internal iliac artery?
1. Griffiths point
2. Sigmoid colon
3. Ano rectal junction
4. Sudeck's point

Correct answer: 4. Sudeck's point

Explanation: Ans. D Sudeck's pointRef: Yamada's Textbook of Gastroenterology, Vol I, P 104* Watershed area: It is the medical term referring to regions of the body that receive dual blood supply from the most distal branches of two large arteries.* Griffith's critical point: A potential watershed area present between superior and inferior mesenteric arterial system. It is located at the splenic flexure.* Sudeck's point: Located at the watershed area between inferior mesenteric artery and internal iliac artery. This point is located near the rectosigmoid junction.